Not self retaining hand held retractor (s) is/are:
1. Mollison's mastoid retractor
2. Jansen's mastoid retractor
3. Lempe's endaural retractor
4. Davis Retractor

Correct answer: 4. Davis Retractor

Explanation: Answer- D. Davis RetractorThese retractors do not need an assistant to hold them in place.It hold tissue apa and lock it in place.Hand held retractor-Hohmann RetractorLahey RetractorSenn RetractorBlair (Rollet) RetractorRigid RakeFlexible RakeRagnell RetractorLinde-Ragnell RetractorDavis Retractor